A patient with anterior dislocation of the shoulder will most likely give a history of:
1. duction and internal rotation
2. Adduction and internal rotation
3. Abduction and external rotation
4. Adduction and external rotation

Correct answer: 3. Abduction and external rotation

Explanation: Ans is 'c' i.e. Abduction and external rotation Mechanism of injury:Anterior dislocation:Most commonly caused by fall on an outstretched hand with the shoulder abducted and externally rotated.Occasionally by direct force pushing the humerus out of the glenoid cavity.Posterior dislocation:May result from a direct blow on the front of the shoulder, driving the head backward.The indirect force producing marked internal rotation and adduction needs to be very severe to cause a dislocation. This happens most commonly during an epileptic fit or with an electric shock.Can also result from a fall on to a flexed abducted arm.Inferior dislocation:Caused due to severe hyperabduction of arm. (With the humerus as the lever and the acromion as the fulcrum, the humeral head is lifted across the inferior rim of the glenoid socket.)